Chalazion of eyelid is:
1. Caseous necrosis
2. Chronic nonspecific inflammation
3. Chronic lipogranulomatous inflammation
4. Liposarcoma

Correct answer: 3. Chronic lipogranulomatous inflammation

Explanation: A chalazion is an inflammation of the meibomian glands, which may produce a tender nodule over the tarsus of the upper or lower lid. Chalazion tends to be recurrent if eyelid hygiene is poor. Obstruction of the eyelid margin meibomian glands with resultant inflammation, fibrosis, and granuloma formation. Eyelid nodule of variable size and localized erythema of the corresponding palpebral conjunctiva that may be associated with a yellow lipogranuloma, is observed clinically. Current Treatment options: Oral flax seed oil may also decrease the risk of recurrent chalazion. If incision and curettage are needed because the lesion is slow to resolve, the child will require a general anesthetic. Topical azithromycin (ophthalmic solution 1%) may also help decrease recurrence of chalazion, but is still under investigation Ref: Braverman R.S. (2012). Chapter 16. Eye. In W.W. Hay, Jr., M.J. Levin, R.R. Deterding, J.J. Ross, J.M. Sondheimer (Eds), CURRENT Diagnosis & Treatment: Pediatrics, 21e.